Cough is an adverse reaction with intake of ?
1. Enalapril
2. Prazocin
3. Nifedipine
4. Thiazide

Correct answer: 1. Enalapril

Explanation: Ans. is 'a' i.e., Enalapril Bradykinin and substance P are also substrate (in addition to angiotensin - I) for ACE. By inhibiting ACE, enalapril inhibits degradation of Bradykinin and substance Pin the lung, which are responsible for cough and angioedema.